Lung is characteristically involved in -
1. Churg-Strauss syndrome
2. HSP
3. PAN
4. ITP

Correct answer: 1. Churg-Strauss syndrome

Explanation: Ans. is 'a' i.e., Churg-Strauss syndromeChurg- strauss syndrome o Also known as allergic granulomatosis and angitis.o It is a medium and small size vasculitis, invoves mainly the blood vessels of lungs, GIT, peripheral nerves, heart, skin, kidney.o As it is allergic, vasculitis it is associated with eosinophilia and asthma.o It is granulomatous necrotizing vasculitis.o It is associated with p-ANCA.StagesThis disease has three distinct stages ?o Stage l --> Involves the sinuses and the onset of allergies ---> nasal polyp, allergic rhinitis.o Stage 2 --> Acute asthma occurs.o Stage 3 --> The third and final stage involves the various organ systems -1. Peripheral nervous system --> Mononeuritis multiplex with severe neural pain.2. Skin -3 Palpable purpura, papules, ulcer, vesiculobillous lesion.3. Heart --> CHF4. Kidney Pauciimmune glomerulonephritis.5. Joints --> Migratory arthritis.6. Ear Conductive deafness.7. There is eosinophilia and raised IgE as occur with allergic conditions.8. Lung --> Nonfixed migratory pulmonary infiltrates.